A 53-year-old man presents to Casualty with severe chest pain. He has a history of angina. ECG shows ST elevation of 4 mm in leads V1 and V4 Thrombolysis has been done but pain and ECG findings are persisting 90 minutes after start of thrombolysis. What is the best management of this patient?
1. Rescue PCI
2. Primary PCI
3. Delayed PCI
4. IV Abciximab

Correct answer: 1. Rescue PCI

Explanation: Ans. A Rescue PCIRef: CMDT 2019 pg. 386The patient is having failure of thrombolysis. In case of failure of thrombolysis, rescue PCI is performed. Primary PCI is done for STEMI. Delayed PCI is done for NSTEMI and hence are ruled out.